Fastest microbiocidal agent against M.leprae
1. Clofazimine
2. Dapsone
3. Rifampicin
4. Minocycline

Correct answer: 3. Rifampicin

Explanation: Ans. is 'c' i.e., Rifampicin